Adverse effect of tocolytic agonist in pregnancy:a) HTNb) ↓ glucosec)↓K+d) Arrythmiae) Pulmonary edema
1. cde
2. acd
3. bde
4. ade

Correct answer: 1. cde

Explanation: Friends I am listing down the side effect of various tocolytics, just go through them. Amongst them, most important are side effects of betamimetics.
Commonly used tocolytics